Midazolam given after how many minutes after continuous febrile seizures?
1. 10 minutes
2. 5 minutes
3. 3 minutes
4. 1 minute

Correct answer: 2. 5 minutes

Explanation: If the seizure lasts for longer than 5 min, acute treatment with diazepam, lorazepam, or midazolam is needed.